Causative agent of Favus is
1. T. Mentagrophytes
2. T. Verrucossum
3. T. Schoenleii
4. E. Floccosum

Correct answer: 3. T. Schoenleii

Explanation: Favus - scutula formation over scalp caused by T. Shoenleii
Kerion - Painfull boggy swelling caused by 

T. Mentagrophytes
T. Verrucossum.